Which of the following, among axillary lymph nodes, is a terminal group -
1. Pectoral
2. Central
3. Lateral
4. Apical

Correct answer: 4. Apical

Explanation: Ans. is 'd' i.e., Apical group The apical group of axillary lymph nodes is the terminal group of axillary lymph node as it receives efferent lymph vessels from all the other axillary nodes.More about axillary lymph nodes - * The axillary lymph nodes are 20-30 in number. These lymph nodes are arranged in six groups.NodesLocationEfferent fromAnterior or pectoral groupAlong the inferior border of pectoralis minorLymph from the lateral quadrant of breast superficial vessels from anterolateral abdominal wallPosterior(subscapular group)Along the subscapular artery and veinsAxillary tail of breast upper half of trunk posteriorly.Lateral groupLie, along the medial side of axillary veinUpper limbCentral groupLie in the fat of the axillaReceive lymph from above groupsApical groupApex of axillaReceive lymphatics from all the groups described above* The apical groups drains into the subclavian lymph node and finally into the thoracic duct or the right lymphatic duct.